What is extrapleural pneumonectomy -
1. Removal one lobe of lung
2. Removal of a complete lung
3. Removal of pleura of one lung
4. Removal of an affected lung with its pleura and part of diagphragm

Correct answer: 4. Removal of an affected lung with its pleura and part of diagphragm

Explanation: Answer- D. Removal of an affected lung with its pleura and part of diagphragmExtrapleural pneumonectomy (EPP): removal of the affected lung, plus part of the diaphragm, the parietal pleura (lining of the chest) and the pericardium (lining of the heart) on that side.The linings are replaced by Gore-Tex in this radical and painfrrl surgery that is used primarily for treatment of malignant mesothelioma.